Laryngeal papillomas is caused by which HPV ?
1. 6, 11
2. 16, 18
3. 33, 45
4. 4, 27

Correct answer: 1. 6, 11

Explanation: Ans. is 'a' i.e.,6, 11Laryngeal papillomatosis is wart with commmonly site of invovement is larynx and respiratory tract,involving HPV type 6 and 11.